A 65-year-old diabetic woman develops weakness on the left side of the face, right arm,and right leg. She also has diplopia on left lateral gaze. What is the site of lesion?
1. Right pons
2. Left pons
3. Right midbrain
4. Left midbrain

Correct answer: 2. Left pons

Explanation: Weakness on the left side of the face Weakness of the right sides of arm and leg | Crossed hemiplegia / Millard gubler syndrome. Pontine stroke. I/L 6th N. palsy- Diplopia on looking laterally I/L 7th N. palsy- facial paralysis but sensations not affected Corticospinal tract damage in pons will lead to C/L hemiplegia in arms and legs.